Most affernt fibers from the lateral geniculate nucleus terminate in the primary visual cortex is:
1. Layer 1
2. Layer 2 and 3
3. Layer 4
4. Layer 5 and 6

Correct answer: 3. Layer 4

Explanation: Most fibers from the lateral geniculate nucleus (LGN) end in layer 4 of the primary visual cortex. Ref: Ganong's Review of Medical Physiology, 22nd Edition, Page 161; Berne and Levy Physiology, 5th Edition, Page 129.